Study unit of ecological study is:
1. Population
2. Patient
3. Community
4. Case

Correct answer: 1. Population

Explanation: Ans. a. PopulationRef: Park's Text book of Preventive and Social Medicine, 24th Ed; Page No-67There are 2 types of epidemiological studyObservational studyEcological study - population...unit of studyCross sectional study - individual...unit of studyCase-control study - individual...unit of studyChart study - individual...unit of studyExperimental studyRCT/Clinical trials - patients...unit of studyField trial - healthy population...unit of studyCommunity trial - communities...unit of study